Trachea is lined by?
1. Simple columnar
2. Pseudostratified columnar
3. Simple cuboidal
4. Stratified squamous, non-keratinized

Correct answer: 2. Pseudostratified columnar

Explanation: Ans. (b) Pseudostratified columnar